Munro's micro abscess is seen in?
1. Psoriasis
2. DLE
3. Lichen planus
4. Mycosis fungoides

Correct answer: 1. Psoriasis

Explanation: Ans. (a) PsoriasisRef: Rook's 7/e, p 35.1